Most unfavorable/poor prognosis is seen in which type of breast cancer:
1. Tubular carcinoma
2. Medullary carcinoma
3. Colloid carcinoma
4. Inflammatory carcinoma

Correct answer: 4. Inflammatory carcinoma

Explanation: Ans. D: Inflammatory carcinoma Inflammatory carcinoma is a fortunately rare, highly aggressive cancer that presents as a painful, swollen breast, which is warm with cutaneous oedema.A biopsy will confirm the diagnosis and show differentiated carcinoma cells. It is used to be rapidly fatal but with aggressive chemotherapy and radiotherapy and with salvage surgery the prognosis has improved considerably. Rarer histological variants, usually carrying a better prognosis are: Tubular carcinoma Medullary carcinoma with solid sheets of large cells often associated with marked lymphocytic reaction Colloid carcinoma whose cells produce abundant mucin